C wave in JVP is DUE TO
1. Bulging of tricuspid valve during the isovolumetric contraction phase
2. Atrial systole
3. Passive filling ventricle
4. Atrial relaxation

Correct answer: 1. Bulging of tricuspid valve during the isovolumetric contraction phase

Explanation: ref : rhagawa rao cardiology